A middle aged man presents with progressive atrophy & weakness of hand & forearms. On examination he is found to have slight spasticity of the leg, genera-lized hyperreflexia and increased signal in the cortico-spinal tracts on T2 weighted MRI. The most likely diagnosis is:
1. Multiple Sclerosis
2. Amyotrophic lateral sclerosis
3. Subacute combined degeneration
4. Progressive spinal muscular atrophy

Correct answer: 2. Amyotrophic lateral sclerosis

Explanation: B i.e., Amyotrophic Lateral Sclerosis The presence of both lower motor neuron signs (progressive atrophy & weakness of hands) and upper motor neuron signs (spasticity & hyperreflexia) in the patient with increased signals (hyperintensity) of corticospinal tracts on T2WI of MRIQ leads us to the diagnosis of Amyotrophic lateral sclerosis.